The Haversian system is found in:
1. Diaphysis of long bones
2. Cancellous bone
3. Epiphysis
4. Spongy bones of children

Correct answer: 1. Diaphysis of long bones

Explanation: A i.e. Diaphysis of long bones